The commonest cause of visual loss in AIDS is which one of the following
1. Toxoplasmosis
2. Herpetic retinitis
3. CMV retinitis
4. HIV retinitis

Correct answer: 3. CMV retinitis

Explanation: Ans. (c) CMV retinitisRef Kanski, p. 442; John Hopkins HIV guide p. 60CMV retinitis is the most commonQ opportunistic ocular infection amongst patients with AIDS and is the most common cause of Visual morbidityQ